A female patient presented with depressed mood, loss of appetite and no interest in surroundings. There is associated insomnia. The onset of depression was preceeded by a history of business loss and soon after it she developed the following symptoms for the past one year. True statement regarding management of this patient is?
1. No treatment is necessary as it is due to business loss
2. SSRI is the most efficacious of the available drugs
3. Start SSRI treatment based on side effect profile
4. Combination therapy of 2 antidepressant drugs

Correct answer: 3. Start SSRI treatment based on side effect profile

Explanation: SSRI are the drug of choice now . As TCAs have anticholinergic, cardiovascular and neurological side effects. They have low safety margin and have a lag time of 2-4 weeks before anti depressant action manifest. Hence SSRI are used based on side effect profile. ref: K D Tripati 8th ed.